Wide pulse pressure may be seen in all Except:
1. Aortic Regurgitation
2. PDA
3. Complete Heart Block
4. Congestive Heart failure

Correct answer: 4. Congestive Heart failure

Explanation: Answer is D (Congestive Heart Failure) Heart Failure is associated with a narrow pulse pressure Pulse Pressure Pulse pressure is the difference between systolic and diastolic blood pressure 1. Wide pulse pressure (>50% systolic BP) Common Causes Aortic Regurgitation Patent Ductus Arteriosus Complete Heart Block Hyperthyroidism Beni Beri Pregnancy Fever /Hot weather Anemia Anxiety Paget's disease of bone (Extensive AV shunting through bone) Arteriovenous shunting Others (Life threatening increased ICP etc) 2. Narrow Pulse Pressure (<25% systolic BP) Common causes Congestive Heart Failure Aortic stenosis (severe) Cardioc Tamponade Dehydration